Phosphorous 32 emits -
1. Beta particle
2. Alpha particle
3. Neutron
4. X-rays

Correct answer: 1. Beta particle

Explanation: Ans. is 'a' i.e., Beta particlesRaysRadioactive elementst 1/2 bP-32SrY-90PhosphorousStrontiumYttrium14.3 days28 years2.54 daysb, gRa-226Au-198I-131RadiumGoldIodine (mainly Beta)1622 years2.7 days8 daysgIr-192Co-60Cs-137Xe-1331-1231-132Tc-99Ga-70T1-201Rn-222Cr-51K-81SeIridiumCobaltCesiumXenonIodineIodineTechnitiumGallium citrateThallous chlorideRadonChromiumKryptonSelenium74.5 days5.2 years30 years5.2days13 hours2.3hours6 hours3.2 days3.1 days3-6 daysN, gCf-252Ta-182CaliforniumTantulum2.6 years4 months